Structure passing through foramen Rotundum:
1. Maxillary artery
2. Maxillary nerve
3. Middle meningeal artery
4. Spinal accessory nerve

Correct answer: 2. Maxillary nerve

Explanation: Maxillary nerve